Relative risk is define as -
1. Incidence of disease among exposed minus incidence of disease among non-exposed
2. Incidence of disease among exposed plus incidence of disease among non-exposed
3. Incidence of disease among exposed divided by incidence of disease among non-exposed
4. None of the above

Correct answer: 3. Incidence of disease among exposed divided by incidence of disease among non-exposed

Explanation: Ans. is 'c' i.e.. Incidence of disease among exposed divided by incidence of disease among non-exposedRelative risk (risk ratio)o Relative risk is the ratio of the incidence of the disease (or death) among exposed and the incidence among nonexposed.Incidence of disease amone exposedRR =[?][?][?][?][?][?][?][?][?][?][?][?][?][?][?][?][?][?][?][?][?]Incidence of disease among nonexposedo RR is a direct measure of the strength of the association between the suspected cause and effect,o A relative risk of one indicates no association.o A relative risk greater than one indicates positive association between the exposure and the disease under study,o For example, a RR of 2 indicates that the incidence rate of disease is 2 times higher in exposed group as compared with unexposed - 100% increase in risk.o A relative risk of less than one indicates negative association^ i.e. exposure to a factor will decrease the incidence of disease (e.g. exposure to vit A decreases the incidence of skin cancer).